Pralidoxime is not useful in poisoning with -
1. Edrophonium
2. Malathion
3. Parathion
4. DFP

Correct answer: 1. Edrophonium

Explanation: Oximes (e.g. pralidoxime) are not used in carbamates poisoning (edrophonium is a carbamate).